Which of the following decreases affinity of oxygen with hemoglobin?
1. Decreased H+ ions
2. 2,3 BPG
3. Decrease in temperature
4. Decreased sorbitol

Correct answer: 2. 2,3 BPG

Explanation: Decrease affinity of oxygen with hemoglobin-Oxygen hemoglobin curve shift to right -increaseddelivery of oxygen to the tissue Increase affinity of oxygen with hemoglobin -Oxygen hemoglobin curve shift to left- Increased delivery of oxygen to the HEMOGLOBIN in lungs Factors increase hydrogen ions (acidosis ) Increase CO2 Increase in temperature Increase in 2,3 DPG Exercise Pregnancy High altitude Hemoglobin S Factors decrease hydrogen ion (alkalosis ) Decrease CO2 Decrease in temperature Fetal hemoglobin Methemoglobinemia 2,3-Bisphosphoglycerate also known as 2,3-Disphosphoglycerate (2,3 BPG or 2,3-DPG) is the most abundant organic phosphate in the erythrocyte. 2,3-BPG is produced in the erythrocytes from an intermediate (1,3-bisphosphoglycerate) of glycolysis. This short pathway is referred to as Rapapo-Leubering cycle.